Retinoblsatoma is most similar to -
1. Fibroma
2. Phaeochromocytoma
3. Neuroblastoma
4. Astrocytoma

Correct answer: 3. Neuroblastoma

Explanation: Both retinoblastoma and neuroblastoma are small round cell tumors.